Which of the following is not a component of brown Sequard syndrome?
1. C/L pain
2. C/L temperature
3. C/L loss of proprioception
4. I/L loss of fine touch

Correct answer: 3. C/L loss of proprioception

Explanation: Brown-Sequard syndrome: hemi section of the cervical spinal cord- results in: I/L Horner syndrome, I/L spastic paresis and C/L loss of pain, temperature and crude touch sensation I/L loss of vibration and joint position/Proprioception I/L loss of fine touch